A patient with Bennett fracture (a fracture of the base of the first metacarpal bone) experiences an impaired thumb movement. Which of the following intrinsic muscles of the thumb is most likely injured?
1. Abductor pollicis brevis
2. Flexor pollicis brevis (superficial head)
3. Opponens pollicis
4. Adductor pollicis

Correct answer: 3. Opponens pollicis

Explanation: The opponens pollicis inserts on the first metacarpal. All other intrinsic muscles of the thumb, including the abductor pollicis brevis, the flexor pollicis brevis, and the adductor pollicis muscles, insert on the proximal phalanges.